The clinical use of which of the following drug is stopped because of severe bronchospasm associated with it-
1. Rapacuronium
2. Rocuronium
3. Atracurium
4. Mivacurium

Correct answer: 1. Rapacuronium

Explanation: Rapacuronium is an aminosteroid compound that was introduced for clinical use in the limited states in 1999 and was withdrawn in 2001 because of rare, but severe, cases of bronchospasm.